Which of the following is not a feature of APLA?
1. Haemolytic anemia
2. False positive VDRL
3. Thrombocytopenia
4. Decreased PT with increased APTT

Correct answer: 4. Decreased PT with increased APTT

Explanation: Antiphospholipid syndrome (APS) It is an autoantibody-mediated acquired thrombophilia characterized by recurrent arterial or venous thrombosis and/or pregnancy morbidity. Catastrophic APS (CAPS) is defined as a rapidly progressive thromboembolic disease involving simultaneously three or more organs, organ systems, or tissues leading to the corresponding functional defects. Patients with APS often possess antibodies recognizing Treponema pallidum PL/cholesterol complexes, which are detected as biologic false-positive serologic tests for syphilis (BFP-STS) and Venereal Disease Research Laboratory (VDRL) tests. Lupus anticoagulant (LA) Antibodies recognize b2GPI or prothrombin (PT) and elongate aPTT, implying that they interfere with the generation of thrombin by prothrombin . Prolongation of the clotting times is an in vitro phenomenon, and LA induces thromboses in vivo. Other two antibodies are Antibodies against cardiolipin (aCL) and Antibodies against b2GPI (anti-b2GPI). Clinical Features of Antiphospholipid Syndrome Venous Thrombosis and Related Consequences Deep vein thrombosis Livedo reticularis Pulmonary embolism Superficial thrombophlebitis Thrombosis in various other sites Arterial Thrombosis and Related Consequences Stroke Cardiac valve thickening/dysfunction and/or Libman-Sacks vegetations Transient ischemic attack Myocardial ischemia (infarction or angina) and coronary bypass thrombosis Leg ulcers and/or digital gangrene Arterial thrombosis in the extremities Retinal artery thrombosis/amaurosis fugax Ischemia of visceral organs or avascular necrosis of bone Multi-infarct dementia Neurologic Manifestations of Uncertain Etiology Migraine Epilepsy Chorea Cerebellar ataxia Transverse myelopathy Renal Manifestations Due to Various Reasons Renal Artery/Renal Vein/Glomerular Thrombosis Fibrous Intima Hyperplasia Osteoarticular Manifestations Arthralgia Arthritis Obstetric Manifestations (Referred to the Number of Pregnancies) Preeclampsia Eclampsia Fetal Manifestations (Referred to the Number of Pregnancies) Early fetal loss (<10 weeks) Late fetal loss (>=10 weeks) Premature birth among the live births Hematologic Manifestations Thrombocytopenia Autoimmune hemolytic anemia Ref: Harrison's Principles of Internal Medicine; 20th edition; Chapter 379 Antiphospholipid Syndrome; Page no: 2135